A community survey shows crude birth rate 23, and crude death rate 6. The demographic stage of population is -
1. High stationary
2. Early expanding
3. Late expanding
4. Low stationary

Correct answer: 3. Late expanding

Explanation: Growth rate = Crude birth rate - Crude death rate
 Relationship between growth rate and population